Serum alkaline phosphatase is not raised in -
1. Primary biliary cirrhosis
2. Hyperparathyroidism
3. Multiple myeloma
4. Hepatitis

Correct answer: 3. Multiple myeloma